Highest fluoride content is characteristic of
1. Enamel
2. Dentin
3. Cementum
4. Bone

Correct answer: 3. Cementum